Which of the following cell type is not a precursor of erythrocyte:
1. Proerythroblast
2. Normoblast
3. Reticulocyte
4. Myeloblast

Correct answer: 4. Myeloblast